Dicrotic pulse is seen in: (Repeat)
1. AS with AR
2. HOCM
3. Dilated cardiomyopathy
4. Aortic dissection

Correct answer: 3. Dilated cardiomyopathy

Explanation: Ans: C (Dilated cardiomyopathy) Ref: Harrisons Principles of Internal Medicine, 18th ed.Explanation:Abnormal PulsesAnacrotic PulseThis is slow rising pulse of smaller amplitude seen in conditions like aortic stenosis Anacrotic means upbeating: refers to exaggerated anacrotic notch seen in ASDouble beating PulsesOccurs when there are two palpable arterial pulses per cardiac cycleBisferiens PulseTwo positive peaks during systoleFelt best in carotid arteriesSeen in Severe AR, Combined AR and AS, HOCM & in high output statesBifid PulseCommonly recorded than palpatedThe initial spike is followed by a ntid systolic pulse collapse and then by late systolic impulseSeen in Hypertrophic cardiomyopathyDicrotic PulseSecond palpable component is a diastolic reflection wave.The detectable delay between two palpable peaks is much longer than in bisferiens pulseSeen in Dilated & Restricted Cardiomyo-pathy or Severe LV dysfunction. Aortic regurgitation. Typhoid fever. Cardiac tamponadePulsus AlternansStrong and weak beat occuring alternativelySeen in left ventricular dysfunction